G-cells are present mostly in-
1. Fundus
2. Cardia
3. Pyloric antrum
4. Body

Correct answer: 3. Pyloric antrum